The acrosome reaction occurs, when the sperm
1. Enters the uterine cavity
2. Comes in contact with zona pellucida
3. Penetrates corona radiata
4. Penetrates cell membrane of oocyte

Correct answer: 2. Comes in contact with zona pellucida